Rhabdomyosarcoma histologic variant with favourable prognosis is:
1. Embryonal
2. Alveolar
3. Mixed
4. Prognosis is equally bad in all

Correct answer: 1. Embryonal

Explanation: The prognosis for rhabdomyosarcoma is related to the site of origin, resectability, presence of metastases, number of metastatic sites, and histopathologic features. Primary sites associated with more favorable prognoses include the orbit and nonparameningeal head and neck, paratestis and vagina (nonbladder, nonprostate genitourinary), and the biliary tract. Patients with tumors Tumor histologic type influences prognosis; the embryonal variant is a favorable type, whereas the alveolar type has an unfavorable prognosis. Ref: Schwartz's principle of surgery 9th edition, chapter 39.